A 30 year old male presented with pain in lower extremities, aggravated by walking. He gives the history of cigarette smoking. In this patient prevalence of which histocompatibility antigen is increased?
1. HLA-B5
2. HLA-B8
3. HLA-DR2
4. HLA-DR3

Correct answer: 1. HLA-B5

Explanation: The history suggests that the patient is suffering from Buerger disease. There is increased prevalence of HLA-A9 and HLA-B5 in these patients. HLA DISEASE HLA-B8 Myasthenia gravis, Graves Disease HLA-DR2 Narcolepsy HLA-DR3 Myasthenia gravis, Celiac sprue HLA-DR4/DW4 Rheumatoid arthritis